Down's syndrome is associated with all of the following
except
1. Retrognathia
2. Periodontal disease
3. Premature exfoliation of teeth
4. Retained deciduous teeth

Correct answer: 1. Retrognathia